Basis of division of anatomical segments of liver are all, EXCEPT:
1. Hepatic artery
2. Hepatic vein
3. Portal vein
4. Bile duct

Correct answer: 2. Hepatic vein

Explanation: The proper hepatic artery, portal vein, and common hepatic duct enter/exit the liver at the porta hepatis as the 'portal triad'. The central branch first divides into two larger branches, functionally subdividing the liver into left parts and right parts. The portal triad continue to ramify within the liver, forming a total of eight segments that are more or less functionally independent of one another. Hepatic segments grouped by parts and divisions: Left part of the liver 1. Posterior part, Caudate lobe Segment (S1) 2. Left lateral division 1. Left posterolateral segment (S2) 2. Left anterolateral segment (S3) 3. Left medial division Left medial segment (S4); subdivided into subsegment (4a) and (4b) Right part of the liver 1. Right medial division 1. Right anteromedial segment (S5) 2. Right posteromedial segment (S8) 2. Right lateral division 1. Right anterolateral segment (S6) 2. Right posterolateral segment (S7)